Primary Pneumococcal Peritonitis is associated with _________ in children
1. Cirrhosis
2. Lymphoma
3. Carcinoids
4. None of the above

Correct answer: 1. Cirrhosis

Explanation: Primary Pneumococcal Peritonitis is associated with Nephrotic syndrome or Cirrhosis in children.